Reduction potential of potassium is
1. -2.93
2. -0.44
3. -0.34
4. 0.54

Correct answer: 1. -2.93

Explanation: K+ + e- = K(s) -2.93